Which of the following features on X-ray chest can differential an Atrial septal Defect (ASD) from a Ventricular Septal Defect (VSD)?
1. Enlarged Left Atrium
2. Pulmonary Plethora
3. Enlarged pulmonary Artery
4. Enlarged Aorta

Correct answer: 1. Enlarged Left Atrium

Explanation: Left atrial enlargement is not seen in an ASD. In ASD cardiomegaly is due to enlargement of the right atrium and right ventricle. In VSD cardiac silhouette is of left ventricular type. Ref: Essential pediatrics by O.P.Ghai 6th edn/page 401, 403.